Sensory supply of from external auditory meatus:
1. Pterygomandibular ganglion
2. Geniculate ganglion
3. Facial nerve nucleus
4. Auriculotemporal nerve

Correct answer: 4. Auriculotemporal nerve

Explanation: D i.e. Auriculotemporal nerve